Nerve of inguinal canal is
1. Genitofemoral nerve
2. Obturator nerve
3. Iliohypogastric nerve
4. Ilioinguinal nerve

Correct answer: 4. Ilioinguinal nerve

Explanation: The inguinal canal is a passage in the anterior abdominal wall that in men conveys the spermatic cord and in women the round ligament of uterus. The inguinal canal is larger and more prominent in men. There is one inguinal canal on each side of the midline. ref -BDC 6e vol2 pg211-216